Kaposi sarcoma arise from -
1. Muscles
2. Connective tissue
3. Vascular tissue
4. None of the above

Correct answer: 3. Vascular tissue

Explanation: Kaposi sarcoma is an intermediate grade, multicentric vascular, tumour
The pathogenesis of Kaposi sarcoma is complex, fundamentally it is an angio proliferative disease that is not a
true neoplastic sarcoma.
It is a manifestation of excessive proliferation of spindle cells that are believed to be of vascular origin and have featured in common with endothelial and smooth muscle cells.
Grossly → There stages of the disease can be identified
Patch (Ist stage)
Plaque (intermediate stage)
Nodule (last stage)
Histologically - The changes are nonspecific in the early patch stage and more characteristic in the nodular stage which show.
Sheets of plump proliferating spindle cells and endothelial in the dermis or subcutaneous tissue More on Kaposi Sarcoma C/f of Kaposi Sarcoma.
Kaposi sarcoma lesions most commonly appear as raised macules, however, they can also be papular or nodular.
Lesions often appear in the sun-exposed areas, particularly the tip of the nose. Confluent lesions may give rise to
surrounding lymphedema and may be disfiguring when they involve the face and disabling when they involve the lower extremities.
Apart from skin, Kaposi sarcoma can involve almost any other organ such as lymph nodes, gastrointestinal tract and lung.
In contrast to most malignancies in which lymph node involvement implies metastatic spread and a poor prognosis, lymph node involvement is seen very early in Kaposi sarcoma and is of no special clinical signs